The following is usually the first sign of puberty in girls –
1. Onset of menstruation
2. Appearance of pubic hair
3. Change in voice
4. Increase in breast size

Correct answer: 4. Increase in breast size